Hepatoxic anaesthetic agent is :
1. Ketamine
2. Ether
3. Nitrous Oxide
4. Halothane

Correct answer: 4. Halothane

Explanation: Ans. is 'd' Halothane Halothane is hepatoxic. It is "contraindicated" in liver diseases.Other Important side effects of HalothaneArrhythmia (Max Arrhythmogenic)*Malignant Hyperthermia *